HLA B27 is positive in
1. Ankylosing spondylitis
2. Rheumatoid arthritis
3. SLE
4. Behcet syndrome

Correct answer: 1. Ankylosing spondylitis

Explanation: Ref Robbins 8/e p193; Harrison 17/e p2051 ;9/e p215 The HLA complex, which is located on the short arm of human chromosome 6, contains sequences encoding about 100 genes, most involved in the regulation of the immune response. HLA genes are classically grouped into three major classes.